Para amino benzoic acid of breast milk prevent the infection of –
1. Plasmodium vivax
2. Kleibsella-pneumonia
3. Giardia
4. E.coli

Correct answer: 1. Plasmodium vivax